Non-bilious vomiting seen in
1. Meconium ileus
2. Duodenal atresia
3. Hypertrophic pyloric stenosis
4. Necrotising enterocolitis

Correct answer: 3. Hypertrophic pyloric stenosis

Explanation: Vomiting in infancyBile-stainedIntestinal malrotation with volvulus Duodenal atresia/stenosis ( is usually just distal to the ampulla of Vater)Jejunal/ileal atresia (often isolated anomalies)Hirschsprung's diseaseAnorectal malformationsMeconium ileus (cystic fibrosis)Necrotising enterocolitisIncarcerated inguinal herniaIntussusception (often non-bilious initially)Non-bilious Infantile hypertrophic pyloric stenosisGastro-oesophageal refluxFeeding difficulties (technique/volume)Non-specific marker of illness, e.g. infectionRef: Bailey and Love 27e pg: 128